Normal safe limit of Fluoride content in drinking water is
1. 0.5 to 0.8 mg/L
2. 0.8 to 1.0 mg/L
3. 0.2 to 0.5 mg/L
4. 0.2 to 0.8 mg/L

Correct answer: 1. 0.5 to 0.8 mg/L

Explanation: The recommended level of fluorides in drinking water in India is accepted as 0.5 to 0.8 mg per literRef: Park; 23rd ed; Pg 625